Catecholamine action on α–receptors causes:
1. Increased atrial contraction
2. Increased heart rate
3. Detrusor relaxation
4. Gastrointestinal sphincter contraction

Correct answer: 4. Gastrointestinal sphincter contraction